If urine sample darkens on standing: the most likely conditions is ?
1. Phenylketonuria
2. Alkaptonuria
3. Maple syrup disease
4. Tyrosinemia

Correct answer: 2. Alkaptonuria

Explanation: Ans. is 'b' i.e., AlkaptonuriaAlkaptonuriaIt is due to deficiency of homogentisate oxidase. As a result homogentisic acid (homogentisate) is excreted execessively in urine. There arc three important characteristic features in alkaptonuria?i) Urine becomes dark after being exposed to air. It is due spontaneous oxidation of homogentisate into benzoquinone acetate, which polymerse to form black-brown pigment alkapton which imparts a characteristic black-brown colour to urine.ii) Alkapton deposition occurs in sclera, ear, nose, cheeks and intervertebral disc space. A condition called ochronosis. There may be calcification of intervertebral discs.iii) Onchronosis arthritis affecting shoulder, hips, knee.Benedict's test is strongly positive in urine and so is the ferric chloride (FeC1 3)test. Benedict's reagent gives a greenish brown precipitate with brownish black supernatent. Fehling's reagent (FeC13) gives blue green colour.